Strangulation most commonly occurs in:
1. Femoral hernia
2. Direct inguinal hernia
3. Indirect inguinal hernia
4. Lumbar hernia

Correct answer: 1. Femoral hernia

Explanation: Ans. A: Femoral hernia Femoral hernias occur just below the inguinal ligament, when abdominal contents pass into the weak area at the posterior wall of the femoral canal. They can be hard to distinguish from the inguinal type (especially when ascending cephalad): however, they generally appear more rounded, and, in contrast to inguinal hernias, there is a strong female preponderance in femoral hernias. Although inguinal hernia may be 10 times more common than the femoral hernia, a femoral hernia is more likely to strangulate because of the narrowness of the neck and its rigid sorrounds. Repair techniques are similar for femoral and inguinal hernia.